Laboratory evaluation of a patient with recurrent lip edema shows decreased C4 and CIINH (quantity & function) with normal Clq. Diagnosis is
1. Hereditary angioedema type II
2. Hereditary angioedema type I
3. Acquired AE type II
4. Acquired AE type I

Correct answer: 2. Hereditary angioedema type I

Explanation: B. i.e. Hereditary angioedema type I